The type of glomerulonephritis which is least likely to cause chronic renal failure-
1. Membranous glomerulonephritis
2. Focal segmental glomerulosclerosis
3. Post streptococcal glomerulonephritis
4. Membrano proliferative glomerulonephritis

Correct answer: 3. Post streptococcal glomerulonephritis

Explanation: In adults, 15% to 50% of affected persons develop end-stage renal disease over the ensuing few years or 1 to 2 decades, depending on the clinical and histologic severity. By contrast, in children, the prevalence of chronicity after sporadic cases of acute postinfectious GN is much lower.
robbins book of pathology. 9th edition. Page 529